The rate adjusted to allow for the age distribution of the populations
1. Perinatal mortality rate
2. Crude mortality rate
3. Fertility rate
4. Age standardized mortality rate

Correct answer: 4. Age standardized mortality rate

Explanation: ref: Park's 23rd edition pg 59 SMR (Standardised mortality ratio): (usually expressed as percentage) of the total numkber of deaths that occur inthe study group to the number of deaths that would have been expected to occur if that study group had experienced death rates of a standard population (or reference poplulation).